A symptomatic patient underwent investigations and found out a pancreatic cyst of 7 cm in size. What is the treatment of choice for this patient?
1. External drainage
2. Internal drainage
3. Resection of head of pancreas
4. Antibiotics

Correct answer: 2. Internal drainage

Explanation: Pancreatic pseudocysts are a well-known complication of acute or chronic pancreatitis. There are different therapeutic strategies: endoscopic transpapillary or transmural drainage, percutaneous catheter drainage or open surgery. Percutaneous drainage is used for infected pseudocysts. Internal drainage and pseudocyst resection are frequently used as surgical approaches with a good overall outcome.